Indomethacin can antagonize the diuretic action of loop diuretics by –
1. Preventing prostaglandin mediated intrarenal-hemodynamic actions
2. Blocking the action in ascending limb of loop of Henle
3. Enhancing salt and water reabsorption in distal tubules
4. Increasing aldosterone secretion

Correct answer: 1. Preventing prostaglandin mediated intrarenal-hemodynamic actions